Which of the following drug commonly used in dentistry affect platelet function?
1. Gentamicin
2. Diclofenac
3. Aspirin
4. All of the above

Correct answer: 4. All of the above

Explanation: Other commonly used drugs which can affect platelet function are Ibuprofen, Mefenamic acid, Ampicillin and derivatives - Sulphonamides, Trimethoprim, Diazepam, Antihistamines, Tricyclic antidepressants, Anti-phenothiazines.